In congenital dislocation of knee deformity seen is -
1. Varus
2. Valgus
3. Flexion
4. Extension

Correct answer: 4. Extension

Explanation: Ans- D Extension Ref- Congenital Dislocation of the Knee Derek Moore Introduction Spectrum of disease including positional contractures rigid dislocation Structural components include quadricep tendon contracture anterior subluxation of hamstring tendon absent suprapatellar pouch tight collateral ligament Often occurs in children with myelomeningocele arthrogryposis Larsen's syndrome Associated conditions developmental dysplasia of the hip 50% will have hip dysplasia affect one or both hips clubfoot, metatarsus adductus Presentation Presents with hyperextened knee at birth Treatment Nonoperative treatment reduction with manual manipulation and casting indications most cases can be treated nonoperatively if both knee and hip dislocated, then treat knee first can't get Pavlik harness on hip if knee dislocated technique long leg casting on weekly basis Operative treatment surgical soft tissue release indications failure to gain 30deg of flexion after 3 months of casting goal of surgery is to obtain 90deg of flexion quadriceps tendon lengthening (V-Y quadricepsplasty or Z lengthening) anterior joint capsule release hamstring tendon posterior transposition collateral ligaments mobilization postoperative cast in 45 to 60deg flexion for 3 to 4 weeks